Pain at the tip of shoulder is due to all except
1. Peptic ulcer
2. Pancreatitis
3. Cholecystitis
4. Appendicitis

Correct answer: 4. Appendicitis

Explanation: Referred shoulder pain Right shoulder Peptic ulcer Myocardial ischaemia Acute cholecystitis Liver disease (Abscess, cirrhosis, hepatitis) Pulmonary (pleurisy, pneumothorax, pancoast tumor) Kidney Left shoulder Ruptured spleen Myocardial ischaemia Pancreatic diseases Ruptured ectopic Pulmonary(Pleurisy, pneumothorax, pancoast tumor) Kidney diseases Post operative laproscopy Ref : Examination of shoulder by Tae kyun Kim 4th edition